Early onset and bag prognosis is seen in
1. Catatonic
2. Hebephrenic
3. Paranoid
4. Schizo affective

Correct answer: 2. Hebephrenic

Explanation: B i.e. Hebephrenic